Down and out deviation of eyeball is due to Paralysis of which cranial nerve
1. 2
2. 3
3. 6
4. 9

Correct answer: 2. 3

Explanation: Down and out deviation is due to 3rd nerve palsy due to unopposed action of lateral rectus and superior oblique.